Medulla receives its blood supply from all of the following arteries except:
1. Anterior spinal artery
2. Posterior inferior cerebellar artery
3. Vertebral artery
4. Superior cerebellar artery

Correct answer: 4. Superior cerebellar artery

Explanation: Ans. d. Superior cerebellar artery (Ref: BDC 4/e pvol-III/202-203)Medulla is supplied by anterior spinal artery, branches of vertebral artery and posterior inferior cerebellar artery (but not the Superior cerebellar artery).Medullary Arterial Supply:Posterior inferior cerebellar -- dorsolateral areas.Anterior spinal - medial area.Anterior inferior cerebellar -- ventro-lateral area.Blood supply of Medulla OblongataAnterior spinal arteryqQ:The anterior spinal artery- supplies the whole medial part of the medulla oblongata.A blockage (such as in a stroke) will injure the pyramidal tract, medial lemniscus, and the hypoglossal nucleus. This causes a syndrome called medial medullary syndrome.Posterior inferior cerebellar artery (PICA)Q:The posterior inferior cerebellar artery, a major branch of the vertebral artery, supplies the posterolateral part of the medulla, where the main sensory tracts run and synapse.Direct branches of the vertebral arteryQ:The vertebral artery supplies an area between the other two main arteries, including the nucleus solitarius and other sensory nuclei and fibers.Lateral medullary syndrome can be caused by occlusion of either the PICA or the vertebral arteries.